HMGCoA reductase is inhibited by :
1. Lovastatin
2. Gemfibrozil
3. Clofirate
4. Nicotinic acid

Correct answer: 1. Lovastatin

Explanation: Ans is 'a' Lovastatin (Ref. KDT, 5/e p. 577 (4/e, p. 620, 621); Harrison, 16/e, p 2296 (15/e, p. 2254)).Lovastatin is a hypolipidemic drug.Its mechanism of action is Inhibition of HMGCoA reductaseHMGCoA reductase inhibitors includeLovastatinMevastatinSimvastatinMechanism of action of other hypolipidemic drug.Fibric acid derivatives (Gemfibrozil)* - Activation of lipoprotein lipase*.Bile acid resins (Cholestyramine and colestipol)* - Interruption of enterohepatic recycling of bile acids*.Nicotinic acid - Unclear or (inhibition of lipolysis)*